Which of the following is not directly controlled by ACTH?
1. Glucocorticoids
2. Androstenedione
3. Dehydroepiandrosterone
4. Epinephrine

Correct answer: 4. Epinephrine

Explanation: THe secretion of the adrenal medullary hormones(epinephrine, norepinephrine and dopamine) is not controlled directly by ACTH. ACTH controls mainly secretion of adrenal cortical hormones: Glucoicoids (cortisol, corticosterone) and sex steroids (testosterone, DHEA, androstenedione ). Note: The major regulators of aldosterone are angiotensim II and potassium. However, ACTH can also stimulate aldosterone prooduction. Hormones secreted Regulated by Zona glomerulosa Mineralocorticoids (aldosterone) Angiotesin II, K+ Zona fasiculata Glucocoticoids (cortisol, corticosterone) ACTH Zona Reticularis Sex steroids (DHEA, DHEA-S) ACTH Adrenal medulla Catecholamines(Epinephrine, norepinephrine) DIffuse sympathetic discharge(stress) REf: Guyton and Hall 13th edition Pgno: 965,966